Mullerian inhibiting substance secreted by
1. Stroma
2. Sertoli cells
3. Leydig cells
4. All of the above

Correct answer: 2. Sertoli cells

Explanation: -Form blood-testis barrier -Nourishes developing sperm Spermatogenesis -Secrete testosterone under LH influence -Synthesis of Mullerian inhibiting Factor -Secrete inhibin which inhibits FSH Testosterone exerts negative feedback on LH & GNRH